The narrowest valvular part of ureter is:
1. At pelvic brim
2. At ischial spine
3. Pelvic ureteric junction
4. At the entry of bladder

Correct answer: 4. At the entry of bladder

Explanation: At the entry of bladder